Eustachian tube opens -
1. Above superior turbinate
2. Behind posterior end of inferior trubinate
3. Anterior to inferior turbinate
4. Between superior and middle trubinate

Correct answer: 2. Behind posterior end of inferior trubinate

Explanation: Pharyngeal opening of Eustachian tube is situated 1.25 cm behind the posterior end of inferior turbinateQ.